Snow storm appearance on IJSG seen in:
1. Hydatiform mole
2. Invasive mole
3. Twin pregnancy
4. Ectopic pregnancy

Correct answer: 1. Hydatiform mole

Explanation: Ans: A (Hydatiform mole) "Sonography: Characteristic echogram of molar pregnancy is snowstorm appearance"- Dutta Obstetrics 6th/196Also know"The ultrasound appearances of testicular microlithiasis: 'SnowStorm' testis- www.bjm.org/cgi"Sonographic appearances in neonates with generalized meconium peritonitis: the snowstorm sign"-http://b}r.birjournals. org /cgi/reprint/57/6 76/340.pdf